The National Population Policy 2001 aims to achieve net reproduction rate of 1 by the year ?
1. 2005
2. 2010
3. 2015
4. 2050

Correct answer: 2. 2010

Explanation: Ans. is 'b' i.e., 2010 Objectives of National Population Policy 2000 Immediate objectives: To meet unmet need of contraception; to strengthen health infrastructure; to strengthen health personnel and to promote integrated service delivery for basic RCH care Mid term objective: 'To bring the total fertility rate (TFR) to Replacement Level; i. e, TFR to 2.1' Long term objective: To stabilize population by 2045 o National Socio-demographic Goals of NPP 2000 (achieve by 2010) Address the unmet needs for basic reproductive and child health services, supplies and infrastructure Make school education up to age 14 free and compulsory, and reduce drop outs at primary and secondary school levels to below 20 percent for both boys and girls Reduce infant mortality rate to below 30 per 1000 live births Reduce maternal mortality ratio to below 100 per 100,000 live births Achieve universal (100%) immunization of children against all vaccine preventable diseases Promote delayed marriage for girls, not earlier than age 18 and preferably after 20 years of age Achieve 80 percent institutional deliveries and 100 percent deliveries by trained persons Achieve universal access to information/counseling, and services for fertility regulation and contraception with a wide basket of choices Achieve 100 per cent registration of births, deaths, marriage and pregnancy Contain the spread of Acquired Immunodeficiency Syndrome (AIDS), and promote greater integration between the management of reproductive tract infections (RTI) and sexually transmitted infections (STI) and the National AIDS Control Organisation Prevent and control communicable diseases Integrate Indian Systems of Medicine (ISM) in the provision of reproductive and child health services, and in reaching out to households Promote vigorously the small family norm to achieve replacement levels of TFR Bring about convergence in implementation of related social sector programs so that family welfare becomes a people centred programme